Amount of fluoride in amalgam is
1. 8% SnF2
2. 10% SnF2
3. 1% NaF
4. 1% SnF2

Correct answer: 4. 1% SnF2